Nerve supply of latissimus dorsi -
1. Radial nerve
2. Long thoracic nerve
3. Thoracodorsal nerve
4. Axillary nerve

Correct answer: 3. Thoracodorsal nerve

Explanation: Ans. is'c'i.e., Thoracodorsal nerve(Ref. Gray's 3*/e p. S46)Thoracodorasal nerve (C6-8) is a branch of posterior cord of brachial plexus that supplies the latissimus dorsi muscle.Also known as the nerve to latissimus dorsi.